Zoonotic disease is/are transmitted by -a)  Ticksb)  Rat fleac)  Sand flyd)  Mosquitoe)  Mite
1. abcd
2. acde
3. bcde
4. abcde

Correct answer: 4. abcde